Oral contraceptive pill containing progesterone which is given in small quantities for 30 days a month is known as :
1. Micro pill
2. Sequential pill
3. Combined pill
4. None of the aboveq

Correct answer: 1. Micro pill

Explanation: Micro pill